Posterior thigh dermatome is:
1. L-4
2. L-5
3. S-1
4. S-2

Correct answer: 4. S-2

Explanation: Posterior calf and thigh region has S2 dermatome.